Triangular facies is indicative of ________
1. Russell-Silver syndrome
2. Down's syndrome
3. Mobius syndrome
4. Nephrotic syndrome

Correct answer: 1. Russell-Silver syndrome

Explanation: Triangular facies is indicative of Russell-Silver syndrome. Russell-Silver Syndrome: Clinical features: Short stature, triangular face(small jaw and pointed chin), microcephaly, limb and facial symmetry, 5th finger clinodactyly A few cases are due to genomic imprinting disorder involving chromosome 11 Ref: Nelson textbook of pediatrics 21st edition Pgno: 286, 3476